A country has crude birth rate 25 per 1000 and crude death rate 10 per 1000. What is the growth rate of that country -
1. 2.50%
2. 5.00%
3. 15%
4. 1.50%

Correct answer: 4. 1.50%

Explanation: Ans. is 'd' i.e., 1.5% * Growth rate = Crude birth rate - Crude death rate.* Thus, growth rate = 25-10=15 per 1000 or 1.5%